Most of the surgeons prefer incomplete fistulous tract excision (Latzko repair) in order to avoid all except
1. Enlarging of the defect.
2. Weakening of surrounding tissue.
3. Preserve scar tissue surrounding fistula.
4. Compromising the repair.

Correct answer: 3. Preserve scar tissue surrounding fistula.

Explanation: Strong scar tissue is Latzko repair, permits secure reapproximation of surrounding tissue. This is potential benefit of Latzko technique.